which is true regarding bezold jarisch reflex is ?
1. increased bp and decreased HR
2. increased BP and increased HR
3. DECREASED BP and increased HR
4. decreased BP and DECREASED HR

Correct answer: 4. decreased BP and DECREASED HR

Explanation: BEZOLD- JARISCH REFLEX * It responds to ventricular stimuli sensed by the chemoreceptors and mechanoreceptors within the left ventricular wall by inducing the triad of -- Hypotension -- Bradycardia -- Coronary artery dilatation * The activated receptors communicate along unmyelinated vagal afferent type C fibers REF : GUYTON AND HALL